Increased sexual desire in males is known as-
1. Nymphomania
2. Satyriasis
3. Frigidity
4. Fetishism

Correct answer: 2. Satyriasis